Which of the following does not pass through the primitive umbilical ring?
1. Allantois
2. Amnion
3. Yolk sac
4. Connecting stalk

Correct answer: 2. Amnion

Explanation: The amnion does not pass through the primitive umbilical ring. As craniocaudal folding occurs, the amnion becomes the outer covering of the umbilical cord.